All of the following are approaches to Temporomandibular joint, except
1. Hind's retromandibular approach
2. Gillie's temporal approach
3. Alkayat-Bramley preauricular incision
4. Endaural approach

Correct answer: 2. Gillie's temporal approach